Yellow fluorescence on wood's lamp is seen in –
1. Tuberous sclerosis
2. Pseudomonas infection
3. Tinea capitis
4. Erythrasm

Correct answer: 3. Tinea capitis

Explanation: Tinea capitis looks bright yellow green on wood's lamp examination.